Obturator artery is a branch of -
1. Internal iliac artery
2. External iliac artery
3. Common iliac artery
4. Vesical artery

Correct answer: 1. Internal iliac artery

Explanation: Ans. is 'a' i.e., Internal iliac artery o The common iliac artery divides into internal and external iliacs at the level of L5-S1 disc.Branches of internal iliac artery :A Anterior division :Superior vesicleInferior vesicleObturatorMiddle rectalInternal pudendalInferior glutealB. Posterior division :IliolumbarLateral sacralSuperior glutealIn females, inferior vesicle artery is replaced by the vaginal artery and uterine artery is an extra branch. In males, artery to vas deferens arises from the superior vesicle artery. Superior rectal artery is a branch of inferior mesenteric artery and inferior rectal artery is a branch of internal pudendal artery.Branches of external iliac :1. Deep circumflex femoral2 Inferior epigastric3. Femoral artery